A female forges to have a child, whereas she doesn't have. It is:
1. Cheating
2. Posthumous child
3. Suppositious child
4. Superstitious child

Correct answer: 3. Suppositious child

Explanation: Ans. (c) Suppositious childRef: The Essentials ofFSM by K.S. Narayan Reddy 31st ed. / 370; Forensic Medicine By P. V. Guhara / 230* A suppositious child is one produced by a women whom claims it as her own whereas in actual fact it is not her child. A women may substitute a living male child for a dead or living female child born of her or may feign pregnancy and delivery and later produce a living child.# Suppositious child also known as fraudulent offspring* Posthumous child is a child born after the death of the father in a legally married couple.